Finding on colposcopy suggestive of malignancy:
1. Candidiasis
2. Papilloma
3. Punctuation
4. Condyloma

Correct answer: 3. Punctuation

Explanation: Punctuation